A patient is brought to you with alleged history of assault and on examination there are 2 wounds, one on the lower jaw and one on the shin. He claims that it was caused by a knife that the assailant had with him. On examination the wound appears like an incised wound. Which of the following findings in the wound will be inconsistent with an injury caused by sharp knife?
1. Clean cut edges which are well defined
2. Spindle shape wound
3. Bridging nerves and vessels
4. Regular margins

Correct answer: 3. Bridging nerves and vessels

Explanation: In an incise wound the edges are clean cut and well defined usually with everted margins. The edges may be inverted in the case of incised wounds on the scrotum. In case of incised wounds bridging tissue is not seen. Bridging tissue is suggestive of laceration and is caused a part of the body being crushed or stretched beyond the limit of their elasticity. Note: - In areas where skin is close to the bone and subcutaneous tissue is scanty a lacerated wound may look like an incise wound. Ref: The Essentials of Forensic Medicine and Toxicology by Narayana Reddy, Edition 21, Page 156, 157